Toxic megacolon is most commonly associated with:
1. Ulcerative colitis
2. Crohn's disease
3. Whipple's disease
4. Reiter's disease

Correct answer: 1. Ulcerative colitis

Explanation: Ans. A. Ulcerative colitisComplications of Ulcerative colitis:a. Massive hemorrhage.b. Toxic mega colon with perforation.c. Colonic epithelial dysplasia and carcinoma. The risk of neoplasia increased with duration and extend of the disease.